Which one of the following are most improtant antigen presenting cells in human-
1. Macrophages
2. Plasma cells
3. Langerhan's cells\/histiocytes
4. Lymphocytes

Correct answer: 3. Langerhan's cells\/histiocytes

Explanation: Robbins and Cotran pathologic basis of disease South Asia edition. *immature dendritic cells within the epidermis are called langerhans cells .dendritic cells are the most important antigen presenting cells for initiating T cell responses against protein antigen.